The dental surveyors were introduced to the field of dentistry in 1918 by:
1. Applegates
2. Kennedy
3. Kroll
4. AJ Fortunati

Correct answer: 4. AJ Fortunati